Polycythemia may be a features of all of the following except
1. Gastric carcinoma
2. Hepatoma
3. Cushing's syndrome
4. Hypemephroma

Correct answer: 1. Gastric carcinoma